Green coloured urine seen in:
1. Kerosene
2. Organophosphorus poisoning
3. Carbolic acid
4. Paracetamol

Correct answer: 3. Carbolic acid

Explanation: Ans. C (Carbolic acid poisoning) "Carbolic acid {phenol) poisoningQ urine may be colorless or slightly green' at first but turns greenQ or even black on exposure to air"- Reddy 27th/470